Demographers are of the view that the demographic goal of NRR=1 can be achieved only if the couple protection rate exceeds -
1. 40%
2. 50%
3. 60%
4. 70%

Correct answer: 3. 60%